Which one of the following is not a component of Charcot's triad?
1. Pain
2. Fever
3. Vomiting
4. Jaundice

Correct answer: 3. Vomiting

Explanation: Charcot's triad is a feature of ascending cholangitis ,mainly due to choledocholithiasis(stones in CBD and biliary tree).It includes intermittent pain which may be colicky,intermittent fever & intermittent jaundice.Stone moves proximally and floats,obstruction is relieved and symptoms subside.,which is responsible for intermittent features.